Paralysis of 3rd, 4th, 6th nerves with involvement of Ophthalmic division of 5th nerve, localizes the lesion to-
1. Cavernous sinus
2. Apex of orbit
3. Brainstem
4. Base of skull

Correct answer: 1. Cavernous sinus

Explanation: *Paralysis of 3rd, 4th, 6th nerve and involvement of Ophthalmic division of 5th nerve -> cavernous sinus thrombosis. *Paralysis of 3rd, 4th, 6th nerve, Ophthalmic division of 5th nerve plus optic nerve signs -> orbital apex syndrome. Ref: Khurana 7th/e p.428